The most common variety of scleritis is:
1. Non-necrotizing anterior diffuse
2. Non-necrotizing anterior nodular
3. Anterior necrotizing with inflammation
4. Anterior necrotizing without inflammation

Correct answer: 1. Non-necrotizing anterior diffuse

Explanation: Ans. Non-necrotizing anterior diffuse